Which one of the following is NOT true about chemical mediators:
1. Leukotrienes are formed by lipo-oxygenase pathway
2. Histamine is a preformed chemical mediator
3. Prostaglandin causes vasoconstriction at the site of inflammation
4. Thromboxane A2 is associated with platelet aggregation

Correct answer: 3. Prostaglandin causes vasoconstriction at the site of inflammation

Explanation: Leukotrienes are formed by Lipo-oxygenase , Whereas, prostaglandins are formed by cyclo-oxygenase. PGs causes vasodilation.